Which of the following is the drug of choice for Hypoactive sexual desire disorder in females?
1. Sildenafil
2. Flibanserin
3. Mianserin
4. Lorcaserin

Correct answer: 2. Flibanserin

Explanation: Flibanserin (Female viagra) is a 5HT2 agonist sold under the name "Addyi" for Hypoactive Sexual desire disorder in females.